Shortest acting non depolarizing muscle relaxant –
1. Mivacurium
2. Vercuronium
3. Atracurium
4. Succinyl choline

Correct answer: 1. Mivacurium

Explanation: Suxamethonium (succinylcholine) is the shortest acting skeletal muscle relaxant.
Mivacurium is the shortest acting nondepolarizing skeletal muscle relaxant.